Which is the whitest colour in vita shade guide?
1. A1
2. A2
3. B1
4. B2

Correct answer: 3. B1

Explanation: The trend is to arrange shade guides in decreasing order of value (lightest to darkest: B1, A1, B2, D2, A2, C1, C2, D4, A3, D3, B3, A3.5, B4, C3, A4, C4). Matching tooth shades is simplified by the arrangement of tabs by value; this arrangement has been found to be easier and more reliable to use.